Tissue conditioning material is indicated when:
1. Tissue symptoms are related to diabetes
2. Mucosa is inﬂamed due to ill ﬁtting dentures
3. Mandibular tori is present
4. Large maxillary tori is present

Correct answer: 2. Mucosa is inﬂamed due to ill ﬁtting dentures

Explanation: Correction of ill-fitting dentures

Areas of denture causing trauma to the tissues (causing inflammation of oral mucosa) are trimmed and polished.
Generally rough areas on fitting surface are smoothed or relined with tissue conditioner.

Ref: Textbook of prosthodontics V Rangarajan Ed. 2nd